Mathematical representation of inverse square law is
1. I2/I1 = (D2)2 / (D1)2
2. I1/I2 = (D2)2 / (D1)2
3. I2/I1 = (D2) / (D1)
4. I1/I2 = (D2) / (D1)

Correct answer: 2. I1/I2 = (D2)2 / (D1)2